A 38-year-old Bengali man presents with complains of multiple pappular lesions over the body especially involving the palms and soles. The lesions are not painful. He has pigmentation of skin over the abdomen. He also has vertical white ridges over the nails. Which of the following is the most likely diagnosis?
1. Xeroderma pigmentosa
2. Chronic arsenic poisoning
3. Lichen planus
4. Erythrodemoplasia verruciformis

Correct answer: 2. Chronic arsenic poisoning

Explanation: Acute arsenic poisoning Necrosis of intestinal mucosa with hemorrhagic gastroenteritis, Hypotension, Delayed cardiomyopathy, Acute tubular necrosis, Hemolysis. Nausea, vomiting, diarrhea, abdominal pain, delirium, coma, seizures; Garlicky odor on breath; Hyperkeratosis, hyperpigmentation, exfoliative dermatitis, Mees' lines (trans- verse white striae of the fingernails) Sensory and motor polyneuritis, distal weakness. EPIDERMODYSPLASIA VERRUCIFORMIS : The lesions resemble flat warts or macules similar to those of pityriasis versicolor. In patients with epidermodysplasia verruciformis, squamous cell cancers develop frequently at sites infected with specific HPV types, including 5 and 8. LICHEN PLANUS Lichen planus (LP) is a papulosquamous disorder in which the primary lesions are pruritic, polygonal, flat-topped, violaceous papules. XERODERMA PIGMENTOSUM (XP) An autosomal recessive disorder Characterized by variably deficient repair of UV-induced photoproducts, Their skin phenotype often manifests the dry, leathery appearance of prematurely photoaged skin as well as basal cell and squamous cell carcinomas and melanoma in the first two decades of life.